Following hormones are produced by endocrinal part of pancreas, except:
1. Insulin
2. Somatostatin
3. Glucagon
4. Bombesin

Correct answer: 4. Bombesin

Explanation: Bombesin is a 14 amino acid peptide isolated from amphibian skin, which was found to have stimulatory effects upon gastric and pancreatic secretions, release of gastrointestinal hormones,  gallbladder contraction and bronchoconstriction.